Which of the following finding is NOT seen in Dermatomyositis?
1. Gottron's papules
2. Mechanics hand
3. Periungual telangiectasia
4. Salmon rash

Correct answer: 4. Salmon rash

Explanation: Salmon rash is not a feature of dermatomyositis. Classic Cutaneous Manifestations of Dermatomyositis are: Gottron papules: These are papules with a violaceous hue which are typically found over the dorsal-lateral aspect of interphalangeal and/or metacarpophalangeal joints. Heliotrope rash: Is a periorbital confluent macular violaceous erythema of the eyelids and periorbital tissue. Periungual telangiectasia Symmetric confluent macular violaceous erythema: When seen over the posterior shoulders and neck its called shawl sign, and when on the anterior neck and upper chest its called V sign. Mechanic's hand lesion: Are areas of bilaterally symmetric confluent hyperkeratosis. Ref: Sontheimer R.D., Hansen C.B., Costner M.I. (2012). Chapter 156. Dermatomyositis. In L.A. Goldsmith, S.I. Katz, B.A. Gilchrest, A.S. Paller, D.J. Leffell, N.A. Dallas (Eds), Fitzpatrick's Dermatology in General Medicine, 8e.